Middle age diabetic with tooth extraction with ipsilateral swelling over middle one-third of sternocleidomastoid & displacement of tonsils towards contralateral -
1. Parapharyngeal abscess
2. Retropharyngeal abscess
3. Ludwigs angina
4. None

Correct answer: 1. Parapharyngeal abscess